Subcortical dementia is seen in all except :
1. Parkinsonism
2. Alzheimer's disease
3. Wilsoms disease
4. Huntingtons Chorea

Correct answer: 2. Alzheimer's disease

Explanation: B i.e. Alzheimer's disease